All of the following are features of Right ventricular infarction EXCEPT:
1. Nocturia
2. Normal JVP
3. Hepatomegaly
4. Ascites

Correct answer: 2. Normal JVP

Explanation: Right sided MI will lead to right ventricular dysfunction with features of right ventricular failure. Features of right ventricular failure are : Backward failure of the right ventricle leads to congestion of systemic capillaries. Tk generates excess fluid accumulation in the body. This causes swelling under the skin (termed peripheral edema or anasarca) and usual affects the dependent parts of the body first (causing foot and ankle swelling in people w are standing up, and sacral edema in people who are predominantly lying down). Nocturia (frequent nighttime urination) may occur when fluid from the legs is returned to the bloodstream while lying down at night. In progressively severe cases, ascites (fluid accumulation in the abdominal cavity cause:- swelling) hepatomegaly (enlargement of the liver) may develop. Significant liver congestion may result in impaired liver function, and jaundice even coagulopathy (problems of decreased blood clotting) may occur. Pleural effusion, Raised JVP, positive hepatojuglar reflex, parasternal heave.